Most common heart disease which is associated with maximum mortality during pregnancy is:
1. Eisenmenger syndrome
2. MR
3. AR
4. VSD

Correct answer: 1. Eisenmenger syndrome

Explanation: Eisenmenger's syndrome is the reversal of a left to right shunt (ASD, VSD, PDA) due to progressive pulmonary hypertension. Maternal mortality approaches 30-50% and fetal loss may be as high as 75%. It is one of the few conditions in which pregnancy is contraindicated. Women with Eisenmenger syndrome tolerate hypotension poorly, and the cause of death usually is right ventricular failure with cardiogenic shock. VSD is generally well tolerated during pregnancy. Patients with aortic insufficiency tolerate pregnancy well because the fall in peripheral resistances favors forward blood flow and decreases the regurgitant fraction. Mitral regurgitation is also generally well tolerated in pregnancy. Ref: Hameed A.B., Montoro M.N. (2013). Chapter 27. Cardiac & Pulmonary Disorders in Pregnancy. In DeCherney A.H., Nathan L, Laufer N, Roman A.S. (Eds),CURRENT Diagnosis & Treatment: Obstetrics & Gynecology, 11e.